The neuromuscular transmitter released at neuromuscular junction is:
1. Dopamine
2. Epinephrine
3. Nor epinephrine
4. Acetylcholine

Correct answer: 4. Acetylcholine